All of the following are B cell markers except:
1. CD 22
2. CD 19
3. CD 20
4. CD 34

Correct answer: 4. CD 34

Explanation: CD 34